Which of the following is not a Koch's postulate?
1. The bacteria should be able to be isolated from a diseased tissue
2. When inoculated in experimental animals, bacteria may or may not cause disease
3. Pure cultures can be obtained
4. Bacteria should be able to be isolated from the diseased tissue in the experimental animals

Correct answer: 2. When inoculated in experimental animals, bacteria may or may not cause disease